TRUE about mycoplasma are all, EXCEPT:
1. They are L forms
2. Sterol enhances growth
3. Can grow in cell free media
4. When grown in liquid medium do not produces turbidity

Correct answer: 1. They are L forms

Explanation: The organisms have diameters of about 0.2 to 0.3 mm, but they are highly plastic and pleomorphic and may appear as coccoid bodies, filaments, and large multinucleoid forms. They do not have a cell wall and are bounded only by a single triple-layered membrane, which, unlike bacteria, contains sterols. The sterols are not synthesized by the organism, but are acquired as essential components from the medium or tissue in which the organism is growing. Lacking a cell wall, Mycoplasma and Ureaplasma stain poorly or not at all with the usual bacterial stains. Hemadsorption is a feature of M pneumoniae. Because of their small size mycoplasma usually do not produce turbidity in liquid media. Ref: Ray C.G., Ryan K.J. (2010). Chapter 38. Mycoplasma and Ureaplasma. In C.G. Ray, K.J. Ryan (Eds), Sherris Medical Microbiology, 5e.